Regarding Hepatitis-B, which is true:
1. It is a RNA virus
2. Incubation period is 2-4 weeks
3. HbeAg denotes maximum protection
4. HbsAg may be present in saliva

Correct answer: 4. HbsAg may be present in saliva

Explanation: HbsAg may be present in saliva